Haemophilia is a genetic disorder of coagulation seen only in males. It is transmitted as
1. X-linked dormant
2. Y-linked dormant
3. X-linked recessive
4. Autosomal recessive

Correct answer: 3. X-linked recessive

Explanation: Mendelian diseases and their inheritance: